Minimum bone width required for a 4 mm diameter implant is about
1. 5 mm
2. 10 mm
3. 12 mm
4. 14 mm

Correct answer: 1. 5 mm